Femtolasik provides all the advantage over conventional microkeratome based laser except
1. Less incidence of flap related complications
2. Less incidence of dry eyes
3. Can be done in thinner corneas
4. Photocoagulative laser, so it decreases collateral damage

Correct answer: 4. Photocoagulative laser, so it decreases collateral damage

Explanation: Femtolaser is photodisruptive laser and not photocoagulative LASER ADVANTAGES OF FEMTOLASIK a.Less incidence of flap related complications b.Less incidence of dry eyes c.Can be done in thinner corneas as flap thickness is lower d.Reduced risk of infections e.More stable results